Most often used thickness of the matrix band is
1. 0.0015 cm
2. 0.0015 inch
3. 0.015 inch
4. 0.0028 mm

Correct answer: 2. 0.0015 inch